Whipple's is disease is caused by:
1. Bacteroides
2. Acinetobacter
3. H. pylori
4. Tropheryma whippelii

Correct answer: 4. Tropheryma whippelii

Explanation: Ref: Harrison 19th ed. P 1092-93* Whipple's disease is a malabsorption syndrome caused by Tropheryma whippelii. It is an intracellular bacteria found in gut macrophages.Mnemonic: WHIPPLEWeight lossHyperpigmentationInfection with Tropheryma whippeliiPAS positive granules in macrophagesPolyarthritisLymphadenopathySteatorrheaIOC for Whipple's disease is small intestinal biopsy.Most common heart valve involved in Whipple's disease is aortic valve.Culture negative endocarditis is seen with duke' criteria not being satisfied.CNS features are in form of cognition defect progressive to dementia.MC extraintestinal manifestation of Whipple's disease is CNS feature of dementia.Current treatment is ceftriaxone for 2 weeks and oral doxycycline for 1 year.